Pseudo tumour syndrome is seen in
1. SLE
2. Thallasemia
3. Hemophilia
4. Hyperparathyroidism

Correct answer: 3. Hemophilia